An Ovarian neoplasm in a 14-year old girl is most likely to be:
1. Germ cell tumor
2. Epithelial tumor
3. Seolic Leydig cell tumor
4. Granulosa cell tumor

Correct answer: 1. Germ cell tumor

Explanation: Germ cell tumor - younger girls & unilateral Epithelial tumor in elderly women & they are bilateral Germ cell tumors constitute about 15 - 20 % of all ovarian neoplasm and they are the second common ovarian tumors Germ cell tumors have the following features 1. Occur predominantly in children and young adults 2. Most are early stage disease 3. Usually have good prognosis due to chemo responsiveness 4. Fertility sparing surgery may be possible